Bread crumb colony appearance is of:
1. Bordetella pertussis
2. Vibrio cholerae
3. Actinomyces israeli
4. M. Leprae

Correct answer: 3. Actinomyces israeli

Explanation: Actinomyces israeli